A 50 year old guy presented with 25 years of married life, having 5 years of established doubt on his wife's fidelity, despite proof to the contrary, and his other aspects of life are normal. The probable diagnosis is
1. Panic disorders
2. Depression disorders
3. Delusional disorder
4. Phobias

Correct answer: 3. Delusional disorder

Explanation: (C) Delusional disorder # DELUSIONAL DISORDER is an uncommon psychiatric condition in which the patients present with delusions, but with no accompanying prominent hallucinations, thought disorder, mood disorder, or significant flattening of affect.> There are seven types of Delutional disorders: Erotomanic type (erotomania): delusion that another person, often a prominent figure, is in love with the individual. The individual may breach the law as he/she tries to obsessively make contact with the desired person. Grandiose type: delusion of inflated worth, power, knowledge, identity or believes himself/herself to be a famous person, claiming the actual person is an impostor or an impersonator. Jealous type: delusion that the individual's sexual partner is unfaithful when it is untrue. The patient may follow the partner, check text messages, emails, phone calls etc. in an attempt to find "evidence" of the infidelity. Persecutory type: This delusion is a common subtype. It includes the belief that the person (or someone to whom the person is close) is being malevolently treated in some way. The patient may believe that he/she has been drugged, spied-on, harassed and so on and may seek "justice" by making police reports, taking court action or even acting violently. Somatic type: delusions that the person has some physical defect or general medical condition Mixed type: delusions with characteristics of more than one of the above types but with no one theme predominating. Unspecified type: delusions that cannot be clearly determined or characterized in any of the categories in the specific types.